Which of the following growth factors mediate tissue regeneration during wound healing
1. TGF-beta
2. PDGF and EDF
3. FGF and VEGF
4. All of the above

Correct answer: 4. All of the above

Explanation: Tissue repair:
a. Replacement of a damaged area by connective tissue scar.
b. Tissue repair is mediated by various growth factors and cytokines.

Transforming growth factor (TGF-β).
Platelet derived growth factor β (PDGF).
Fibroblast growth factor (FGF).
Vascular endothelial growth factor (VEGF).
Epidermal growth factor (EDF).
Tumor necrosis factor α (TNF-α) and IL-1.